Which is not a second generation antihistamine
1. Cyclizine
2. Fexofenadine
3. Loaratidine
4. Atorvalastine

Correct answer: 1. Cyclizine

Explanation: Ans. is 'a' i.e. Cyclizine